FADH2 enters ETC via which complex?
1. Complex I
2. Complex II
3. Complex III
4. Complex IV

Correct answer: 2. Complex II

Explanation: FADH2 enters ETC via Complex II (Succinate Q Reductase) and hence generates only 1.5 molecules of ATP. (NADH generates 2.5 ATPs)